2 year old child presented with diarrhoea and failure to thrive, Blood examination shows - Na = 122, K - 6. He is most probably suffering from ?
1. Bartter syndrome
2. 214x Hydroxylase deficiency
3. 11-p Hydroxylase deficiency,
4. 17-a Hydroxylase deficiency

Correct answer: 2. 214x Hydroxylase deficiency

Explanation: Ans. is `b' i.e., 21-a Hydroxylase deficiency o Na' is 122 (hyponatremia). That means, there is salt losing enzyme deficiency, causing hyponatremia and hyperkalemia. o 21 hydroxylase deficiency causes hyponatremia and hyperkalemia. 17a-hydroxylase and 11beta hydroxylase deficiency cause hypernateremia and hypokalemia.